During the treatment with rifampicin some patients will have mild elevation in the bilirubin with normal transaminases.This is due to:
1. Hemolysis
2. Transient cholestasis with bile duct injury
3. Microsomal enzyme induction
4. Hepatic adaptation

Correct answer: 4. Hepatic adaptation

Explanation: One form of hepatic adaptation includes drug induced hyperbilirubinemia , it is seen with rifampicin,flavaspidic acid,cyclosporine. Ref : Schiff's diseases of liver , Edition -11 , Page - 715.